All of the following structures are derived from mesonephric duct, EXCEPT:
1. Vas deferens
2. Ureter
3. Trigone of urinary bladder
4. Prostatic utricle

Correct answer: 4. Prostatic utricle

Explanation: The wolffian duct or mesonephric duct forms the epididymis, vas deferens and seminal vesicles. Testosterone directs the development of wolffian duct. Trigone of the bladder develop from the caudal end of the mesonephric duct. A pair of ureteric bud grow upwards from the distal mesonephric duct near its insertion into the cloaca to form the renal pelvis, calyces and collecting ducts. Most of the prostate gland develop from the same primordial area of urogenital sinus that forms the vaginal plate in females. The mullerian or paramesonephric duct forms the fallopian tubes, uterus and upper third of the vagina. Ref: The Reproductive System at a Glance By Linda J. Heffner 3rd edn page 22. Atlas of Urogynecological Endoscopy By Peter L. Dwyer page 38.